Which one of the following platelet counts is usually associated with increased incidence of spontaneous bleeding -
1. Greater tha 80,000/mm3
2. 40,000/mm3
3. 20,000mm3
4. Less than 20,000mm3

Correct answer: 4. Less than 20,000mm3